Nerve injured in Caldwell Lus operation is?
1. Lingual nerve
2. Infra orbital nerve
3. Optic nerve
4. Facial nerve

Correct answer: 2. Infra orbital nerve

Explanation: Ans. is'b'i.e., Infra orbital nerve.Complications of Caldwell - Luc operationPost - operative bleeding. This can be controlled by nasal packAnaesthesia of the cheek due to stretching of infraorbital nerve. It may last for a few weeks or months.Anaesthesia TeethInjury to nasolacrimal ductSublabial fistula (oroantral fistula)Osteomyelitis of maxilla (rare)